Female patient with male like voice. Type of thyroplasty done:
1. I
2. II
3. III
4. IV

Correct answer: 4. IV

Explanation: Ans. (d) IVThere are 4 types of thyroplasty done, depending on the pathology* Type I: Medialization (Done for Abducted Vocal Cord)* Type II: Lateralization(Done for Adducted Vocal Cord)* Type III: Relaxation, shortening (in order to lower down the pitch)* Type IV: tensioning, Lengthening (in order to increase the pitch)